The Most common organism causing meningitis in a patient with AIDS
1. Candida albicans
2. Streptococcus pneumoniae
3. Cryptococcus neoformans
4. Haemophilus influenzae

Correct answer: 3. Cryptococcus neoformans

Explanation: (C) Cryptococcus neoformans # Cryptococcal meningitis is the most serious type of infection and can resemble tuberculous or other chronic types of meningf.is.> Its onset is insidious and the course slow and progressive.> It is often seen in AIDS.